Ca breast Stage T4b involves all except:
1. Nipple retraction
2. Skin ulcer over the swelling
3. Dermal edema
4. Satellite nodule

Correct answer: 1. Nipple retraction